One of the following statements about hydralazine is not true -
1. It causes direct relaxation of blood vessels
2. It causes dilatation of both arteries and veins
3. Postural hypotension is not a common problem
4. It increases plasma rennin activity

Correct answer: 2. It causes dilatation of both arteries and veins

Explanation: Ans. is 'b' i.e., It causes dilatation of both arteries and veins o Hydralation is a potent vasodilator o It acts as a vasodilator by directly acting on arterioles. It has negligible effect on veins. o There is also renin release with secondary salt and water retention. o Postural hypotension is not a prominent action because of little action on veins; venous return and cardiac output are not reduced.